The function of wetting agents used in casting procedures is
1. To facilitate wetting of ring liner
2. To facilitate mixing investment
3. To reduce contact angle of a liquid with the wax surface
4. For better wax elimination

Correct answer: 3. To reduce contact angle of a liquid with the wax surface

Explanation: The surface of a wax pattern that is not completely wetted investment results in surface irregularities in the casting that destroy its accuracy.
These irregularities can be minimized by applying a surface-active wetting agent on the wax.
The function of the wetting agent is to reduce the contact angle of a liquid with the wax surface.
Wetting agents also remove any oily film that is left on the wax pattern from the separating medium.
The contact angles are 98 degrees for the plain wax surface and 61 degrees for the treated wax surface.
The lower contact angle indicates that the treated wax surface has an affinity for water, which results in the investment being able to spread more easily over the wax.
Because the surface-active agents are quite soluble, the wax pattern with water after the application defeats the purpose of their use.